Donovan bodies are seen in:
1. Granuloma inguinale
2. LGV
3. Syphilis
4. Herpes genitalia4

Correct answer: 1. Granuloma inguinale

Explanation: Ans. is 'a' i.e., Granuloma inguinale